All of the following are causes of granular contracted kidney except:
1. Benign nephrosclerosis
2. Chronic pylonephritis
3. Diabetes mellitus
4. Chronic glomerulonephritis

Correct answer: 3. Diabetes mellitus

Explanation: Answer is C (Diabetes Mellitus): The kidneys are typically normal or increased in size in diabetic nephropathy - Harrison 14th / 1546, 15th/1590 Most forms of chronic renal insufficiencies lead to shrinkage or decrease in size of the kidney. Notable exceptions, wherein kidney size is usually normal or increases include : Diabetic nephropathy Q Amyloidosis Q Polycystic kidney disease Q Kidney is contracted/shrunken in the remaining three conditions - Benign nephrosclerosis Q - Chronic pyelonephritis Q - Chronic glomerulonephritis Q